Chevron Sign is seen with?
1. Rickets
2. Scurvy
3. Achondroplasia
4. Osteogenesis Imperfecta

Correct answer: 3. Achondroplasia

Explanation: *Chevron sign is the inverted V shape notches of growth plates especially distal femur seen in Achondroplasia